Protein-losing enteropathy diagnosis, all used except?
1. Tc albumin
2. Tc dextran
3. In transferrin
4. Tc seclosumab

Correct answer: 4. Tc seclosumab

Explanation: Radionuclides used for protein-losing enteropathy are : -

Indium-111 chloride, indium-111 transferrin, technetium 99m labeled human serum albumin (HSA), 99m Tc dextran, 99m Tc human immunoglobulin, iodine 131 polyvinylpyrrolidone, iodine 125 polyvinylpyrrolidone, chromium 51-labeled albumin, 51 Cr chromic chloride, 125 I albumin, and α- 1 antitrypsin.